Which set of hormones have nuclear receptor?
1. Estrogen, thyroxine & glucagon
2. Estrogen, thyroxine & TSH
3. Estrogen, TSH & Gonadotropin releasing hormone (GnRH)
4. None

Correct answer: 4. None

Explanation: Peptide hormones are proteins that have endocrine functions in living animals.A steroid hormone is a steroid that acts as a hormone. Steroid hormones can be grouped into 2 classes, corticosteroids (typically made in the adrenal cortex, hence cortico-) and sex steroids (typically made in the gonads or placenta). Within those 2 classes are 5 types according to the receptors to which they bind: glucocorticoids and mineralocorticoids (corticosteroids) and androgens, estrogens, and progestogens (sex steroids). Vitamin D derivatives are a sixth closely related hormone system with homologous receptors. They have some of the characteristics of true steroids as receptor ligands.Ref: Ganong's review of medical physiology; 24th edition; page no: 302